Loss of upward gaze (sun setting sign) is seen in ?
1. Perinaud syndrome
2. Weber syndrome
3. Millard gubler
4. Anton's syndrome

Correct answer: 1. Perinaud syndrome

Explanation: Perinaud syndrome: D/t compressive lesion of dorsal midbrain(Superior colliculus and Edinger Westphal nucleus)-->impaired motor function of the eye. Triad of perinaud syndrome: Upgaze paralysis Convergence retraction nystagmus Pupillary light-near dissociation. Anton's syndrome: Visual anosognosia associated with confabulation in the setting of obvious visual loss and cortical blindness Due to B/L occlusion of distal branches of PCA. Weber's syndrome: Presence of an ipsilateral oculomotor nerve palsy and contralateral hemiparesis or hemiplegia Due to occlusion of P1 PCA Millard Gubler syndrome: Characteristically seen with Pontine stroke. I/L 6th N. palsy- Diplopia on looking laterally I/L 7th N. palsy- facial paralysis but sensations not affected Corticospinal tract damage in pons will lead to C/L hemiplegia in arms and legs